Atypical pneumonia can be caused by the following microbial agents except?
1. Mycoplasma pneumoniae
2. Legionella pneumophila
3. Human Corona virus
4. Klebsiella pneumoniae

Correct answer: 4. Klebsiella pneumoniae

Explanation: Mycoplasma pneumonia is the most common cause of atypical pneumonia. Legionella pneumophila also causes legionnaires pneumoniae which is also a type of atypical pneumonia. Human coronavirus also causes atypical pneumonia Klebsiella pneumoniae causes lobar pneumonia which is typical pneumonia. Klebsiella pneumoniae is also known as Friedlander's bacillus which produces red currant jelly sputum and shows bulging fissure signs on chest X-ray.